Ante's law is followed in the construction of
1. Complete denture
2. Fixed partial denture
3. Removable partial denture
4. All of the above

Correct answer: 2. Fixed partial denture